The following can lead to increased Intra cranial pressure accept
1. Meningitis
2. Subarachnoid Hemorrhage
3. Subdural hemorrhage
4. Migraine

Correct answer: 4. Migraine

Explanation: Ans. (d) MigraineRef: Sabiston 20th Page 1934* Hemorrhage within the cranium cause a rise in ICP* Meningitis causes fever malaria altered mental status and increase in ICP.